Cytogenetic studies in a 40-year-old woman with follicular lymphoma demonstrate a t(14;18) chromosomal translocation involving the bcl-2 gene. Constitutive expression of the protein encoded by the bcl-2 gene inhibits which of the following processes in this patient's transformed lymphocytes?
1. Apoptosis
2. DNA excision repair
3. G1-to-S cell cycle progression
4. Oxidative phosphorylation

Correct answer: 1. Apoptosis

Explanation: Many human cancers show abnormalities in the control of apoptosis. Follicular B-cell lymphomas display a characteristic chromosomal translocation in which the bcl-2 gene is brought under the transcriptional control of the immunoglobulin light-chain gene promoter, thereby causing overexpression of bcl-2. As a result of the anti-apoptotic properties of bcl-2, the neoplastic clone accumulates in lymph nodes. Since its demonstration in follicular lymphomas, bcl-2 expression has been observed in a variety of other human cancers Venetoclax is an oral selective BCL-2 inhibitor and antineoplastic agent useful in many condition.